Inguinal hernia in male infants is caused by which congenital infection:
1. CMV.
2. Toxoplasma.
3. Rubella.
4. Congenital syphilis.

Correct answer: 1. CMV.

Explanation: Ans. A. CMVManifestations of CMV in the neonates include focal or generalized organ involvement. These include petechiae, hepatosplenomegaly, jaundice, microcephaly, IUGR, Chorioretinitis and inguinal hernia in male infants.